Most common nodule found in the liver is ?
1. Hepatoma
2. Hamartoma
3. Hemangioma
4. Cholangioadenoma

Correct answer: 3. Hemangioma

Explanation: Ans. is 'c' i.e., Hemangioma Hemangioma is the most common beningn tumor of the liver.